Radiological features of left ventricular heart failure are all, except-
1. KerlyB lines
2. Cardiomegaly
3. Oligemic lung fields
4. peribronchial cuffing

Correct answer: 3. Oligemic lung fields

Explanation: In chest radiography, the Westermark sign is a sign that represents a focus of oligemia (hypovolemia) (leading to collapse of vessel) seen distal to a pulmonary embolism (PE). While the chest x-ray is normal in the majority of PE cases, the Westermark sign is seen in 2% of patients. Ref Davidson 23rd edition pg 460